A person with involvement of upper respiratory tract, lungs and kidney shows evidence of granulomas on histo pathology. The most likely diaglosis is:
1. Wegener's Granulomatosis
2. Goodpasture Syndrome
3. Tuberculosis
4. Sarcoidosis

Correct answer: 1. Wegener's Granulomatosis

Explanation: Answer is A (Wegener's Granulomatosis) The charachteristic triad of vasculitis involving the upper respiratory tract, the lower respiratory tract (Lungs) and kidney along with granuloma formation on histopatholgy suggests a diagnosis of Wegener's granulomatosis.